A 1-month-old boy is referred for failure to thrive. On examination, he shows feature of congestive failure. The femoral pulses are feeble as compared to branchial pulses. The most likely clinical diagnosis is:
1. Congenital aortic stenosis
2. Coarctation of aorta
3. Patent ductus arteriosus
4. Congenital aortoiliac disease

Correct answer: 2. Coarctation of aorta

Explanation: Feeble femoral pulsations compared to strong brachial pulsations suggests the diagnosis of coarctation of aorta. Hypertension and strong pulsations in the upper extremities and absence, marked dimunition or delay in pulsations in the femoral artery are characteristic in coarctation. Coarctation of aorta may result in congestive heart failure in infancy. Ref: Essential Pediatrics, 6th Edition By O P Ghai, Pages 419-20.